What type of tympanoplasty is myringostapediopexy?
1. Type 1
2. Type 2
3. Type 3
4. Type 4

Correct answer: 3. Type 3

Explanation: Ans. is'c'i.e., Type 3Types of TympanoplastyWulstein classified tympanoplasty into five types :-Type I:Defect is perforation of tympanic membrane which is repaired with a graft.It is also called myringoplasty.Type II:Defect is perforation of tympanic membrane with erosion of malleus.Graft is placed on the incus or remnants of malleus.Type III:Malleus and incus are absent.Graft is placed directly on the stapes head.It is also called myringostapediopexy or columella tympanoplasty,